Glassware sterilization is done by?
1. Hot air oven
2. Autoclaving
3. 5% cresol
4. Hotbath

Correct answer: 1. Hot air oven

Explanation: Ans. (a) Hot air ovenRef: Ananthnarayan 8/e / 35